Epithelium present in thin segment of Loop of Henle is
1. Simple Cuboidal Epithelium
2. Simple Columnar Epithelium
3. Stratified Columnar Epithelium
4. Simple Squamous Epithelium

Correct answer: 4. Simple Squamous Epithelium

Explanation: The epithelium of the Thick segment is simple cuboidal epithelium. The epithelium of the Thin segment is simple squamous.Reference: Krishna Garg Histology; 5th edition; Page no: 180